Semen squeeze:
1. Erectile dysfunction
2. Premature ejaculation
3. Retrograde ejaculation
4. Antegrade ejaculation

Correct answer: 2. Premature ejaculation

Explanation: Ans. b. Premature ejaculationRef: Kaplan Step 2 CK Lecture Notes 2018 of Psychiatry; Page No- 80-82The treatment of premature ejaculation typically consists of behavioral techniques aimed at prolonging the time before ejaculation occurs. These include the squeeze-and-go technique.Choices plethysmography and postage stamp are for the diagnosis of erectile dysfunction.Dilators are for the treatment of pain/penetration disorder.SEXUAL DYSFUNCTIONSPhaseCharacteristicsDisorderTreatmentDesireFocuses on the patient's drives,motivation, and desires*. Hypoactive sexual desire: Patients have a decrease or absence of sexual fantasies, desires, etc.*. Sexual aversion: A complete aversion to all sexual contactAddress issues with patient, such as feelings of guilt, poor self-esteem, homosexual impulses, etc. Couples therapy may be indicated if due to marital conflictArousalConsists of a sense of sexual pleasure with accompanying physiologic changes*. Female sexual arousal: Persistent failure to achieve or maintain adequate lubrication during the sexual act*. Impotence: Persistent or recurrent inability to attain or maintain adequate erection until completion of the sexual actAddress issues of guilt, anxiety, and fear. Evaluate for use of medications that cause vaginal dryness, such as antihistamines or anticholinergics. Instruct in relaxation techniques Must rule out if organic versus psychological. Consider plethysmography or postage stamp testOrgasmPhysiologic state in which sexual tension is released and contractions are produced in various organs*. Female orgasmic disorder and delayed ejaculation: Recurrent or persistent inability to achieve an orgasm either through masturbation or sexual intercourse*. Premature ejaculation: Ejaculation beforeJihe man wishes tadcL. so, before penetration, or just after penetrationAddress issues of guilt, fear of impregnation, etc. Treatment includes use of vibrators, education, andfantasyConsider behavioral techniques such as squeeze and stop-and-go. Address Tss.ues.af.anxLety.aboutthe5exuaJ act Consider the use of SSRIs to delay ejaculationPainSubjective sense of pain associated with the sexual act. Most likely due to dynamic factors*. Genito-pelvic pain disorder: Pain associated with sexual intercourse in either male or female. Not diagnosed when organic cause has been found or if due to lack of vaginal lubrication*. Penetration disorder: Involuntary constriction of the outer one-third of the vagina that interferes with the sexual actHelp the woman deal with issues of anxiety and tension about the sexual act.Behavioral techniques, such as the use of dilators and relaxation. Address issues of fear of impregnation, strict upbringing, religion, etc.